Most common enzyme deficiency in congenital adrenal hyperplasia is
1. 3 beta hydroxylase
2. 11 beta hydroxylase
3. 17 hydroxylase
4. 21 alfa hydroxylase

Correct answer: 4. 21 alfa hydroxylase

Explanation: congenital adrenal hyperplasia is a group of autosomal recessive defects in steroid synthesis characterised by deficiency of adrenocortical hormones The commonest form of congenital adrenal hyperplasia accounting for about 90% of cases is due to deficiency of 21-alpha hydroxylase It is associated with diminished synthesis of cortisol and aldosterone Reference: Ghai TB of pediatrics 8th edition pg 526